Substrate-level phosphorylation seen in reaction catalysed in:
1. Succinate dehydrogenase
2. Alfa-ketoglutarate dehydrogenase
3. Succinyl CoA thiokinase
4. Malate dehydrogenase

Correct answer: 3. Succinyl CoA thiokinase

Explanation: C i.e. Succinyl CoA thiokinase